Which cells of the mononuclear phagocyte system are presnt in liver ?
1. Kupffer cells
2. Merkel cells
3. Gittle cells
4. Berger cells

Correct answer: 1. Kupffer cells

Explanation: Ans. is 'a' i.e., Kupffer cells